All are social security acts for industrial workers except
1. Workmen's Compensation Act
2. Central Maternity Benefit Act
3. Factories Act
4. Employment and labour act

Correct answer: 4. Employment and labour act

Explanation: Social security measures for industrial workers Workmen's compensation Act 1923 The factory's Act 1948 Employees state insurance Act 1948 (including disablement Benefit) Central Maternity Benefit Act 1961 The family pension Scheme 1971 Ref : Park 25th edition Pgno : 739